Schober test is used in
1. Rheumatoid Arthritis
2. Ankylosing spondilitis
3. Reiter's syndrome
4. Enteropathic arthritis

Correct answer: 2. Ankylosing spondilitis